Which of Immunoglobulins is associated with allergic disorders ?
1. IgG
2. IgM
3. IgA
4. IgE

Correct answer: 4. IgE

Explanation: Ans. is 'd' i.e., IgE